Which of the following drugs will not precipitate folate deficiency?
1. Alcohol
2. Chloroquine
3. Sulfasalazine
4. Phenytoin

Correct answer: 2. Chloroquine

Explanation: Chloroquine has not been mentioned in association with folate deficiency. Phenytoin, Sulfasalazine, and Alcohol may all be associated with folate deficiency. Ref: KDT 6th Edition, Page 372; Harrison's Principles of Internal Medicine, 16th Edition, Page 489; Blueprints in Family Medicine By Main S. Lipsky, Mitchell S. King, Adam W. Bennett, Page 208; Nutrition Therapy and Pathophysiology By Marcia Nahikian Nelms, Page 520; Essentials of Medical Pharmacology By K D Tripathi, 5th Edition, Page 740; Goodman and Gilman's The Pharmacological Basis of Therapeutics, 9th Edition, Pages 472-3